A 4 year old child was brought in Pediatric OPD with complaint of inability to see at night for the last few days, Pediatrician suspected deficiency of vitamin. Although the clinical signs of vitamin A deficiency are rare, but if occurred, what would be the first clinical sign?
1. Retinal detachment
2. Bitot spot
3. Conjuctival xerosis
4. Corneal xerosis

Correct answer: 3. Conjuctival xerosis